Karyotyping of a fetus is done routinely by all the following except
1. Chorionic villus sampling
2. Cordocentesis
3. Amniocentesis
4. Fetal skin biopsy

Correct answer: 4. Fetal skin biopsy

Explanation: Karyotyping: the Visual study of chromosomes after metaphase arrest by the use of ColchicineFetal karyotyping :1)Chorionic villus sampling: Biopsy taken transcervically at 8 to 12 weeks of gestation2)Amniocentesis: 20 ml of amniotic fluid is aspirated at 14 to 20 weeks of gestation3)Cordocentesis (not preferable): Fetal blood aspirated from the umbilical cord after 18weeks of gestation(Ref: Kawthalkar's essentials of hematology 2/e p162)